True about optic nerve glioma
1. Seen in old individuals
2. Painful proptosis
3. Can cause hematoma
4. Unilateral proptosis

Correct answer: 4. Unilateral proptosis

Explanation: Optic Nerve Glioma *Can cause gradual, painless, unilateral Proptosis *a/w Neurofibromatosis 1 *Mainly affect children (1-10 year) *Have characteristic fusiform enlargement of optic nerve Optic Nerve Glioma - Fusiform Enlargement of optic nerve - Nerve is not seen separately from the mass